The most favoured treatment for pelvic abscess in cul - de - sac is
1. Laprotomy
2. Colpotomy
3. Incision and drainage
4. Antibiotic

Correct answer: 2. Colpotomy